Mite is a vector for:
1. Endemic typhus
2. Scrub typhus
3. Epidemic typhus
4. Trench fever

Correct answer: 2. Scrub typhus

Explanation: Ans: B i.e. Scrub typhus Vectors Flea is the insect vector for endemic/flea borne/ murine typhus Mite is the insect vector for scrub typhus Louse is the insect vector for epidemic typhus and trench fever.